Subendothelial deposits in glomerulus are characteristically seen in:
1. Lupus nephritis
2. IgA nephropathy
3. post infectious nephritis
4. Goodpasture disease

Correct answer: 1. Lupus nephritis

Explanation: Ans: A (Lupus nephritis) Ref: Robbins and Cotran, 'Pathologic Basis of Disease 8th Edition, Elsevier, 2011, Pg 918Explanation:Subepithelial DepositsPost infectious Glomerulonephritis (Lumpy bumpy deposits)Membranous GlomerulopathySubendothelial DepositsMembranoproliferative glomerulonephritis (MPGN) type 1Lupus nephritisPost infectious glomerulonephritis (Rarely)